First line of treatment for keloid is
1. Intralesional injection of steroid
2. Local steroid
3. Wide excision
4. Radiotherapy

Correct answer: 1. Intralesional injection of steroid

Explanation: First line of management for keloid is intra keloidal injection of Triam cinolone acetate.